Soap bubble appearance is seen in:
1. Osteoclastoma
2. Osteochondroma
3. Ewing sarcoma
4. Lymphoma

Correct answer: 1. Osteoclastoma

Explanation: Ans: a (Osteoclastoma) Ref: Maheswari, 3rd edSoap bubble appearance is seen in osteoclastomaClassical radiological featuresSoap bubble appearance- OsteoclastomaOnion peel appearance- Ewing sarcomaSunray appearance- OsteosarcomaCodman triangle- OsteosarcomaTrethowan signSlipped capital femoral epiphysisAneurysmal sign- TB spineLoss of horizontal striations and prominent vertical striations- Hemangioma vertebraChicken wire calcification- Chondrosarcoma